The maximum punishment for issuing a false certificate?
1. 6 months
2. 1 year
3. 3 years
4. 7 years

Correct answer: 4. 7 years

Explanation: Issuing or signing a false certificate is equivalent to giving false evidence (Sec. 197 IPC) and punished with imprisonment of up to 7 years and fine (Sec. 193 IPC). Ref: Krishan Vij textbook of forensic medicine, 5th edition pg : 11